Not true for carcinoma tongue
1. Lateral border is involved
2. Adenocarcinoma is commonest
3. Cervical lymph node involvement
4. Tobacco chewing is a risk factor

Correct answer: 2. Adenocarcinoma is commonest

Explanation: Squamous carcinoma of tongue is the commonest not adenocarcinoma